Growth on a cell-free artificial solid medium is possible for following except -
1. Ureaplasma urealyticum
2. Mycoplasma Pneumoniae
3. C & L form of proteus vulgaris
4. Chlamydia

Correct answer: 4. Chlamydia

Explanation: They are bacteria but may be considered as viruses on account of their filterability and failure to grow in cell-free culture media. REF: Textbook of microbiology Ananthanarayan, and Paniker. Page no.: 415